A 35 year old male is not able to adduct his left eye while looking to the right. It indicates a lesion of which of the following cranial nerves?
1. Abducens nerve
2. Oculomotor nerve
3. Trochlear nerve
4. Trigeminal Nerve

Correct answer: 2. Oculomotor nerve

Explanation: Ans. (b) Oculomotor nerveRef: Kanski 7/e, p, 781All adductors are paralyzed, SO4 , and LR6 which are not paralyzed both abduct the eye.